Neutrilization test is
1. Widal test
2. Weil-Felix test
3. Paul Bunnel test
4. Nagler reaction

Correct answer: 4. Nagler reaction

Explanation: Ans. is `d' i.e., Nagler reaction Neutralization reaction When antibody reacts with a toxin or other biologically active antigen, it may neutralize the effect of toxin or antigen. This ability to used in neutralization test. Neutralization tests are of two types